Which of the following is not true regarding IgA nephropathy
1. Also known as Berger's disease
2. Complement (C3) levels are transiently low
3. Hematuria develops within 2 - 3 days of infection
4. Has association with Henoch Schonlein purpura

Correct answer: 2. Complement (C3) levels are transiently low